Which of the following is true about Bitots spots -
1. Predispose to pingecula
2. Caused by hyperplasia of goblet cells
3. Seen with fat malabsorption
4. Most common site is nasal site of conjunctiva

Correct answer: 3. Seen with fat malabsorption

Explanation: raised,silvery white,foamy,triangular patch of keratinised epithelium on bulbar conjunctiva. REF:khurana,pg no 468